Contrast used for MRI :
1. Iodine
2. Gadolinium
3. Metvazamide
4. Omnipaque

Correct answer: 2. Gadolinium

Explanation: B i.e. Gadolinium